Phage typing is useful as an epidemiological tool in all, except -
1. Salmonella
2. Staph aureus
3. V. Cholerae
4. Shigella dysenteriae

Correct answer: 4. Shigella dysenteriae

Explanation: Phages that lyse all the members of genus salmonella species ,Bacillus anthracis and subspecies classical vibrio cholerae. The most important application of phage typing is for intraspecies typing of bacteria as in the ohage typing of S.typhi and staphylococci. REF:ANANTHANARAYAN AND PANIKER'S TEXTBOOK OF MICROBIOLOGY 9TH EDITION PAGE NO:459